You are examining the pelvic bone obtained from a shallow grave. You note that the preauricular sulcus is shallow and narrow without marked edge. Which of the following would be the MOST appropriate conclusion that you would come to regarding the above mentioned pelvis?
1. It is of a male
2. It is of a female
3. The individual was above 60 years
4. The individual was above 50 years

Correct answer: 1. It is of a male

Explanation: The only thing that can be assumed from the above description is that it belonged to a male. In females the preauricular sulcus is broad and deep especially in parous women. The sex of an individual can be determined with an accuracy of 95% by examination of the pelvic bone alone. Ref: Textbook of Forensic Medicine and Toxicology by Narayan Reddy, Edition 21, Page - 54,55.